Anemia in chronic renal failure is due to
1. Decreased erythropoietin production
2. Iron deficiency
3. Hypoplastic bone marrow
4. Decreased folate levels

Correct answer: 1. Decreased erythropoietin production

Explanation: Ref Harrison 19 th ed pg 630 The anemia is primarily due to a failure of EPO production by the diseased kidney and a reduction in red cell survival. In certain forms of acute renal failure, the correlation between the anemia and renal function is weaker. Patients with the hemolytic-uremic syndrome increase eryth- ropoiesis in response to the hemolysis, despite renal failure requiring dialysis.